Michaelis-Gutmann bodies are seen in:
1. Xanthogranulomatous pyelonephritis
2. Mail patella syndrome
3. Malakoplakia
4. Renal osteodystrophy

Correct answer: 3. Malakoplakia

Explanation: . Malakoplakia